All of the following features are seen in viral pneumonia except-
1. Presence of interstitial inflammation
2. Predominance of alveolar exudates
3. Bronchiolitis
4. Multinucleate giant cells in the bronchiolar wall

Correct answer: 2. Predominance of alveolar exudates

Explanation: Viral pneumonia is characterised by patchy inflammatory changes,largely confined to interstitial tissue of the lungs,without any alveolar exudate.The hallmarks of viral pneumonias are interstitial inflammation,necrotizing bronchiolitis,reactive changes with proliferation of lining epithelial cells of bronchioles and alveoli and forming multinucleate giant cells in the bronchiolar & alveolar walls.Occasionally,viral inclusions are also found,especially in pneumonitis caused byCMV. Reference:Textbook of pathology-Harsh Mohan,6th edition,page no:473.